A 13-year-old boy is brought to the emergency department after losing control during a motorbike race in which he was run over by several of the other racers. Physical examination reveals several cuts and bruises. He is unable to extend the left wrist, fingers, and thumb, although he can extend the elbow. Sensation is lost in the lateral half of the dorsum of the left hand. Which of the following nerves has most likely been injured to result in these signs, and in what part of the arm is the injury located?
1. Median nerve, anterior wrist
2. Median nerve, arm
3. Radial nerve, mid-humerus
4. Ulnar nerve, mid-lateral forearm

Correct answer: 3. Radial nerve, mid-humerus

Explanation: The radial nerve innervates the extensor compartments of the arm and the forearm. It supplies the triceps brachii proximal to the spiral groove, so elbow extension is intact here. It also provides sensory innervation to much of the posterior arm and forearm as well as the dorsal thumb, index, and middle fingers up to the level of the fingernails. Symptoms are described only in the distal limb due to the mid-humeral location of the lesion. The median nerve innervates flexors of the forearm and thenar muscles and provides sensory innervation to the lateral palmar hand. The ulnar nerve supplies only the flexor carpi ulnaris and the medial half of the flexor digitorum profundus in the forearm. Additionally, its sensory distribution is to both the palmar and dorsal aspects of the medial hand. It does not supply extensor muscles.